Pulmonary fibrosis is associated with the use of
1. Bleomycin
2. Cisplatin
3. Methotrexate
4. Actinomycin D

Correct answer: 1. Bleomycin

Explanation: question repeated